Sympathetic ophthalmitis usually results due to:
1. Glaucoma
2. Trachoma
3. Penetrating injury to Ciliary body
4. Uveitis

Correct answer: 3. Penetrating injury to Ciliary body

Explanation: Ans. (c) Penetrating injury to Ciliary bodyRef.: A.K. Khurana 6th ed. /163, 437* Sympathetic ophthalmitis is a serious bilateral granulomatous panuveitis which usually occurs due to penetrating trauma to ciliary body.* The injured eye is called exciting eye.* Fellow eye which also develops uvieitis is called sympathizing eye.Features* Always follows a penetrating wound.* More common in children than in adults.* It doesn't occur when actual suppuration develops in the injured eyePathologies* Uveal pigment acts as allergen and excites plastic uveitis in the sound eye.* Dalen-Fuchs' nodules are formed due to proliferation of the pigment epithelium (of the iris, ciliary body and choroid) associated with invasion by the lymphocytes and epitheloid cells.Clinical Picture* Prodromal stage: Sensitivity to light (photophobia) transient indistinctness of near objects is the earliest symptoms.* First sign may be presence of retrolental flare or the presence of a keratic precipitates (KPs) at back of cornea. * Fully-developed stage: has typical signs and symptoms consistent with acute plastic iridocyclitis.* Dalen Fuch's Nodules are characteristic of SO.* Exciting (injured) eye: Keratic precipitates may be present at the back of cornea* Sympathizing (sound) eye: usually involved after 4-8 weeks of injury in the other eye.* Treatment - Early excision of the injured eye.# Topical cycloplegics + IV/oral steroids are also used for treatment.